Advantages of rubber dam are
1. a dry,clean operating field,
2. improved access and visibility,
3. potentially improved properties of dental materials,
4. All of the above

Correct answer: 4. All of the above

Explanation: A dry, clean operating field,
Improved access and visibility,
Potentially improved properties of dental materials,
Protection of the patient and operator, and
Operating efficiency.